Hyperkalemia stimulates secretion of
1. ADH
2. Secretin
3. Aldosterone
4. Parathormone

Correct answer: 3. Aldosterone

Explanation: Hyperkalaemia is an elevated level of potassium (K+) in the blood serum. Normal potassium levels are between 3.5 and 5.0 mmol/L with levels above 5.5 mmol/L defined as hyperkalemia.ADH - hormone secreted by the posterior pituitary gland and also by nerve endings in the hypothalamus; affects blood pressure by stimulating capillary muscles and reduces urine flow by affecting reabsorption of water by kidney tubules.Secretin - A polypeptide hormone that is produced in the duodenum, especially on contact with acid, and that inhibits gastric secretion of acid and stimulates secretion of bile, insulin, and pancreatic digestive enzymes.Aldosterone - a hormone produced by the cortex of the adrenal gland, helps in the regulation of sodium and potassium resorption by the cells of the tubular portion of the kidney.Parathormone - hormone synthesized and released into the bloodstream by the parathyroid glands; regulates phosphorus and calcium in the body.Ref: Ganong's review of medical physiology- 24th edition page no;370